Most common cause of End stage renal disease is:
1. Diabetes
2. Hypertension
3. Chronic GN
4. Polycystic Kidney disease

Correct answer: 1. Diabetes

Explanation: Ref: Harrison's Principles of Internal Medicine. 18ed.Explanation:The dispiriting term end-stage renal disease' should not be used and is replaced by the term stage 5 CKD"The most frequent cause of CKD is diabetic nephropathy. most often secondary to type 2 diabetes melli- tus Ref: HarrisonLeading Categories of Etiologies of CKDDiabetic glomerular disease (MC Cause)GlomerulonephritisHypertensive nephropathyPrimary glomerulopathy with hypertensionVascular and ischemic renal diseaseAutosomal dominant polycystic kidney diseaseOther cystic and tubulointerstitial nephropathy